Which of the following is not true about mycophenalate mofetil -
1. Prodrug of mycophenolic acid
2. Can be used with calcineurin inhibitor and glucocorticoid
3. Cannot be used with Azathioprine
4. Is nephrotoxic

Correct answer: 4. Is nephrotoxic

Explanation: Ans. is 'd' i.e., Is nephrotoxic o Nephrotoxicity is not an adverse effect of mycophenolate mofetil. o It is a prodrug of mycophenolic acid. o It is used as an 'add on' therapy to cyclosporine (calcineurin inhibitor) + glucocorticoids in renal transplantation. o It should not be used with azathioprine as both the drugs act by inhibiting purine synthesis.